All of the following are supplied by anterior cerebral artery except:
1. Anterior cerebrum
2. Medial cerebrum
3. Paracentral lobule
4. Broca's area

Correct answer: 4. Broca's area

Explanation: *Middle cerebral artery supplies Broca area Artery Area of brain supplied Anterior cerebral artery Anterior cerebrum Medial cerebrum( major contribution) Paracentral lobule Lateral cerebrum Middle cerebral artery Lateral cerebrum(major contribution) Wernicke's, Broca's area Basilar artery Pons Upper medulla Mid brain PICA Posterior cerebellum Lateral medulla Posterior cerebral artery Posterior cerebrum Occipital visual cortex/striate cortex Calcarine sulcus Mid brain Thalamus Posterior communicating artery Thalamus